Surgery of choice for congenital cataract-
1. ECCE
2. ICCE
3. Needling
4. Discission

Correct answer: 1. ECCE

Explanation: Extracapsular cataract extraction (ECCE) with primary posterior capsulectomy and anterior vitrectomy is the procedure of choice ( limbal or pars plana approach). This is done by phacoemulsification. After cataractous lens extraction, the child is treated:- i) If<2 years old-Extended wear contact lenses. Ref: Yanoff & Ducker 3rd/e p.450-454. ii) If>2 years old-Posterior chamber IOL implantation.